All are true about stillbirth, except:
1. Fetus was alive in utero
2. Birth weight < 1000 g
3. Diaphragm at 4-5th rib level
4. Hydrostatic test is negative

Correct answer: 2. Birth weight < 1000 g

Explanation: Ans. Birth weight < 1000 g